Which of the following changes occurs in RBCs of stored blood?
1. Increase in Na+ & K+ content
2. Decrease in Na+ & K+ content
3. Increase in Na+ & decrease in K+ content
4. Increased activity of Na+ - K+ ATPase.

Correct answer: 3. Increase in Na+ & decrease in K+ content

Explanation: Changes in red cells during storage: Changes occur due to decreased metabolism.They are increase in their Na+ & decrease in K+ concentration due to reduced Na+-K+ pump activity, this results in a net increase in total base and water content of the cells that swell and become more spherocytic. The ATP content decreases and inorganic phosphate content increases.